All are radiological features of Mitral stenosis except
1. Straight left border of heart
2. Oligemia of upper lung fields
3. Pulmonary hemosiderosis
4. Lifting of left bronchus

Correct answer: 2. Oligemia of upper lung fields

Explanation: B i.e. Oligemia of upper lung field There is dialation of upper lobe pulmonary veins and constriction (Vt olegemia) of lower lobe veins causing inverted moustache signQ, in mitral stenosis. In mitral stenosis, there is increase in PCW pressure which causes radiological changes PCWP (mm hg) Finding 5-12 NormalQ 12-17 Cephalization of pulmonary vesselsQ (only in chronic conditions) 17-20 Kerley linesQ, subpleural effusion >25 A lveolar flooding edemaQ Radiographic changes of mitral valve ds (mainly rheumatic) Left atrial enlargement is seen as straightening of left border which bulges immediately below left bronchus & elevating itQ, f/b double density to aneurysmal enlargement. (when left atrium reaches to 1 inch of chest wall) Upper lobe blood diversion seen as distension of upper lobe veins & constriction of lower lobe veins. Interstial edema seen as Kerley's septal costophrenic B lines & central A lines.Q Alveolar edema seen as perihilar confluent shadows. Pulmonary hemosiderosis seen as fine punctate densities throughout lung (miliary shadow) usually after years & in MS. Pulmonary ossified nodules seen as discrete calcified densities at the lung base, is d/t PAH in long standing MS. Pulmonary arterial hypertension seen as enlargement of main pulmonary artery & central pulmonary vessels with peripheral vessel pruning.